Dentinal union of two embryologically developing teeth is referred as
1. Gemination
2. Twinning
3. Concrescence
4. Fusion

Correct answer: 4. Fusion